Dangerous area of face
1. Upper lip middle 1/3rd
2. Lower lip middle 1/3rd
3. Lower lip lateral part
4. Periorbital area

Correct answer: 1. Upper lip middle 1/3rd

Explanation: The facial vein communicates with the cavernous sinus through emissary veins infections from the face can spread in a retrograde direction and cause thrombosis of the cavernous sinus. This is especially likely to occur in the presence of infection in the upper lip and in the lower part of the nose. This area is therefore called dangerous area of the face. REF.BDC 6th edition volume 3 pg no 73